Which anterior pituitary hormone plays a major role in the regulation of a nonendocrine target gland?
1. ACTH
2. TSH
3. Prolactin
4. FSH

Correct answer: 3. Prolactin

Explanation: The major target tissue for prolactin is the breast, where it stimulates the secretion of milk. The other anterior pituitary hormones (ACTH, TSH, FSH, and LH) stimulate hormones from endocrine glands